ASHA (Accredited social health activist) work at ?
1. Community level
2. Village level
3. PHC level
4. District level

Correct answer: 2. Village level

Explanation: Ans. is `b' i.e., Village level o One of the key components of the National Rural Health Mission is to provide every village in the country with a trained female community health activist - ASHA (Accredited Social Health Activist).